Recurrent facial nerve palsy is a feature of:
1. Melkersson Rosenthal syndrome
2. Simpson Golabi syndrome
3. Down's syndrome
4. Klinefelter's syndrome

Correct answer: 1. Melkersson Rosenthal syndrome

Explanation: The rare Melkersson-Rosenthal syndrome consists of recurrent facial paralysis; recurrent--and eventually permanent--facial (particularly labial) edema; and, less constantly, plication of the tongue. Its cause is unknown Ref: Harrison's principle of internal medicine 17th edition, chapter 371.